True statement about inheritance of an X linked recessive trait is
1. 50% of girls of carrier mother are affected
2. 50% of boys of carrier mother are affected
3. Father transmits disease to the son
4. Mother transmits the disease to the daughter

Correct answer: 2. 50% of boys of carrier mother are affected

Explanation: Looking at the statements one by one:
Carrier mother contributes to the transfer of one of the two boys getting the affected chromosome. So, 50% of boys of carrier mother are affected.
Option “2”…All girls having diseased father are affected as carriers because they get the affected ‘X’ sperm from their fathers. However, these girls are not going to manifest the disease.
Option “3”…fathers cannot transmit the disease to their sons as they transmit just the “Y” chromosome to them whereas the disease is “X” linked.
Option “4”… mothers contribute to just one “X” chromosome and so, 50% of the daughters would become carriers if t other was a carrier.